Ringer's lactate does not contain:
1. Sodium
2. Potassium
3. Chloride
4. Bicarbonate

Correct answer: 4. Bicarbonate

Explanation: Ans: D (Bicarbonate) Ref Washington Manual of MedicineExplanation:One litre of lactated Ringer's solution contains:Sodium ion - 130 mEqChloride ion - 109 mEqLactate - 28 mEqCause of distal myopathiesCauses of proximal myopathy* Myotome dystrophy* Polymyositis* We larder's myopathy* Dermatomyositis* libial(Udd's) muscular dystrophy''* Muscular dystrophies* Markesbery-Griggs distal myopathy* Mitochondrial myopathies* Lane's. Non aka's* Toxic myopathies* Mivoshi's distal myopathy* Met ab osic myo part thies* Myofibrillar myopathy* Endocriral myopathiesotassium ion - 4 mEqCalcium ion - 3 mEqLactated Ringer's has an osrnolaritv of 273 mOsm/L.